Initial method to prevent infection in burn patients:
1. Physiotherapy
2. Intravenous antibiotics
3. Hand washing
4. Topical antibiotics

Correct answer: 3. Hand washing

Explanation: Ans. C: Handwashing Control of infection in burn patient begins with policies on hand-washing and other cross-contamination prevention measures